In a 10-year-old child the lower canines are trying to erupt in 2mm insufficient space. The primary molars are large and firmly fixed. The 1st premolars are also erupting. The treatment of choice is:
1. Remove primary 2nd molars
2. Place a removable bite-opener
3. Remove 1st premolars
4. Mesial stripping of primary 2nd molars

Correct answer: 4. Mesial stripping of primary 2nd molars